"Nitroblue Tetrazolium Test" is used for:
1. Phagocytosis
2. Complement
3. T cell
4. B cell

Correct answer: 1. Phagocytosis

Explanation: Phagocytosis